Talkativeness and flight of ideas are suggestive of -
1. Schizophrenia
2. Hysteria
3. Mania
4. Tricyclic antidepressants

Correct answer: 3. Mania